Which of the following is not true about Mumps:
1. Caused by paramyxovirus
2. Incubation period is less than 14 days
3. Orchitis is a common complication in males
4. Aseptic meningitis is a commoner complication in children

Correct answer: 2. Incubation period is less than 14 days

Explanation: Ans. B: Incubation period is less than 14 Incubation period of mumps is 14-18 days The more common symptoms of mumps are: Parotid inflammation/ parotitis in 60-70% of infections. Fever Headache Orchitis, referring to painful inflammation of the testicle.Males past puberty who develop mumps have a 30 percent risk of orchitis. There is no specific treatment for mumps. Mumps viral infections in adult males carries a 25% risk that the testes may become infected which in rare cases leads to sterility. After the illness, life-long immunity to mumps generally occurs. Complications Infection of other organ systems Sterility in men (this is quite rare, and mostly occurs in older men) Mild forms of meningitis (rare, 40% of cases occur without parotid swelling) Encephalitis (very rare, rarely fatal) Profound (91 dB or more) but rare sensorineural hearing loss, uni- or bilateral Pancreatitis manifesting as pain abdomen and vomiting Oophoritis (inflammation of ovaries) but fertility is rarely affected.